Type C personality disorder is
1. Avoidant personality disorder
2. Histrionic personality disorder
3. Paranoid personality disorder
4. Narcissistic personality disorder

Correct answer: 1. Avoidant personality disorder

Explanation: . *ANAKSTIC *Also known as OCPD( obsessive compulsive personality disorder) *Perfectionism *Rigidity *Punctuality * indecisiveness *Conscientiousness *excessive attention to detail *extreme orderliness in one area of life *ANXIOUS (AVOIDANT) PERSONALITY DISORDER *free-floating anxiety * 'born worriers'. *pervasive feelings of terror and apprehension *Unattractive * inferior avoidance of those social situations *DEPENDENT PERSONALITY DISORDER * dependence on other people *lack of self-confidence, initiative and drive *describe themselves as depressed *Needs others to assume responsibility * self pessimism * selfdoubt * self-devaluation.